ROME III criteria for Irritable bowel syndrome AE
1. Improvement with defection
2. Rectal bleeding
3. Onset associated with change in frequency of stool
4. Onset associated with change in form of stool

Correct answer: 2. Rectal bleeding

Explanation: Answer- B. Rectal bleedingROME II Diagnostic Criteria for Functional Bowel Disorders-Irritable Bowel SyndromeFunctional Abdominal BloatingFunctional ConstipationFunctional DiarrheaUnspecifed Functional Bowel Disorder